Ratio of median lethal dose to median effective dose is called?
1. Drug potency
2. Therapeutic index
3. Potentiation
4. Therapeutic efficacy

Correct answer: 2. Therapeutic index

Explanation: Therapeutic Index (T.I.): T.I. = LD50 /ED50 It is a measure of the safety of a drug. It is calculated as a ratio of LD50 to ED50. Drugs having high T.I. are safer whereas those having low T.I. are more likely to be toxic.